Terry's nails are seen in:
1. Renal failure
2. Respiratory failure
3. Liver failure
4. Psoriasis

Correct answer: 3. Liver failure

Explanation: Ans. C. Liver failureTerry's nails is a physical finding in which fingernails and/or toenails: appear white with a characteristic "ground glass" appearance, with no lunula. It is seen in chronic liver disease.